'Undertaker's fracture' occurs at which of the following vertebral level?
1. C7-T1
2. T12-L1
3. C6-C7
4. C1-C2

Correct answer: 3. C6-C7

Explanation: The rough handling of a dead body by a undertaker can lead to injury or fracture dislocation of C6-C7. The so-called "UNDERTAKER'S FRACTURE" is caused due to the head falling backwards forcibly after death, which tears open one of the intervertebral disc usually around C6 and C7, due to which subluxation of the lower cervical spine occurs. This can resemble an ante-mortem injury. Ref: Principles Forensic Medicine and Toxicology, JP Medical Ltd, 2011, Page 130